Increased risk of Myocardial infarction is associated with which amino acid
1. Methionine
2. Homocystine
3. Ornithine
4. Melatonin

Correct answer: 2. Homocystine

Explanation: High blood level of homocystine is a risk factor for atherosclerosis and MI.